Regarding Phenytoin, false is :
1. Induces microsomal enzymes
2. At very low doses, zero order kinetics occurs
3. Higher the dose, higher is the half life
4. Highly protein bound

Correct answer: 2. At very low doses, zero order kinetics occurs